Coronary vasodilation is caused by:
1. Adenosine
2. Noradrenergic stimulation
3. Hypocarbia
4. All of the above

Correct answer: 1. Adenosine

Explanation: Ans. A: AdenosineThe close relationship between coronary blood flow and myocardial 02 consumption indicates that one or more of the products of metabolism cause coronary vasodilation. Factors suspected of playing this role include:02 lack and increased local concentrations of CO2H+,IC,Lactate,Prostaglandins,Adenine nucleotides, andAdenosine.Asphyxia, hypoxia, and intracoronary injections of cyanide all increase coronary blood flow 200-300% in denervated as well as intact hearts, and the feature common to these three stimuli is hypoxia of the myocardial fibers. A similar increase in flow is produced in the area supplied by a coronary artery if the artery is occluded and then released. This reactive hyperemia is similar to that seen in the skin. Evidence suggests that in the heart it is due to release of adenosine.